True regarding lag phase is ?
1. Time taken to adapt in the new environment
2. Growth occurs exponentially
3. The plateau in lag phase is due to cell death
4. It is the 2nd phase in bacterial growth curve

Correct answer: 1. Time taken to adapt in the new environment

Explanation: The lag phase represents a period during which the bacterial cells are adapting to a new environment and are busy in replicating various proteins and DNA in preparation for next phase.
There is no growth (no increase in cell number) during this phase. Exponential growth is seen in log phase (not in lag phase).
The lag phase is the first phase of the bacterial growth curve.